Best absorbable monosaccharide
1. Glucose
2. Mannose
3. Fruetose
4. Lactose

Correct answer: 1. Glucose

Explanation: End products of carbohydrate digestion are monosaccharides,most important of which is GLUCOSE . maximum rate of glucose absorption from intestine is about 120 gm/hour Ref.Textbook of physiology by AK Jain 7th edition page no.264